A 15-year-old boy shows an inverted pear shaped radiolucency between the upper lateral incisor and cuspid. The teeth are normal in all aspects. The most likely diagnosis  is
1. Globulomaxillary cyst
2. Nasopatatine cyst
3. Aneurysmal cyst
4. Dentigerous cyst

Correct answer: 1. Globulomaxillary cyst